Diuresis is seen in which phase of acute kidney injury
1. Initiation
2. Maintenance phase
3. Recovery phase
4. Oliguric phase

Correct answer: 3. Recovery phase

Explanation: Recovery phase  - due to Vigorous Diuresis large amount of water, sodium, and potassium Lost in urine.